"Chain of lakes appearance" On ERCP is seen in
1. Acute pancreatitis
2. Chronic pancreatitis
3. Pancreatic adenocarcinoma
4. Crohn's disease

Correct answer: 2. Chronic pancreatitis

Explanation: Beaded appearance due to alternating dilatation and stenosis → Chain of lakes appearance or string of pearl appearance seen in chronic pancreatitis.